A blood stained discharge from the nipple indicates one of the following:
1. Breast abscess
2. Fibroadenoma
3. Duct Papilloma
4. Fat Necrosis of Breast

Correct answer: 3. Duct Papilloma

Explanation: A common presenting symptom of duct papilloma is nipple discharge, which may be serous or bloody. Bloody discharge is more suggestive of cancer, but is usually caused by a benign papilloma in the duct. Ref: CSDT, 11th Edition, Page 342; Bailey and Love's Short Practice of Surgery, 24th Edition, Page 828